Claudication is
1. Pain at rest
2. Pain relieved by rest
3. Pain at first step
4. Pain not relived by rest

Correct answer: 2. Pain relieved by rest

Explanation: . Ans : (b) Pain relieved by rest The term Claudication is derived from Latin word claudicare , "to limp" . Intermittent claudication refers to pain, ache or sense of fatigue occurs in affected muscle group with exercise & resolves with Rest.